Statins are given at night because ?
1. HMG-CoA reductase activity is maximum in midnight
2. Statins are maximally absorbed in night
3. Statins have more potency in night
4. Convenient for patient to remember

Correct answer: 1. HMG-CoA reductase activity is maximum in midnight

Explanation: Ans. is'a' i.e., HMG-CoA reductase actiyity is maximum in midnight(Ref: KDT 7/e p.637; Clinical pharmacology 3d/ep.939)Because HMG-CoA reductase activity is maximum at midnight, all statins are administered at bed time to obtain maximum effectiveness.However, this is not necessary for atorvastatin and rosuvastatin, which have long plasma t 1/2.